Portion of immunoglobulin molecule with molecular weight of 50,000-
1. Secretory piece
2. H chain
3. L chain
4. j piece

Correct answer: 2. H chain

Explanation: Antibody or immunoglobulin are glycoproteins molecules consisting of four polypeptide chains. - two identical heavy chains ( H) , molecular weight > 50 kDa. Two identical light chains (L), molecular weight > 25kDa. Reference : Anathanarayan & paniker's 9th edition, pg no: 94